Fungus which cannot be cultured is:
1. Pencillium
2. Aspergillus
3. Rhinosporodium
4. Sporothrix

Correct answer: 3. Rhinosporodium

Explanation: Rhinosporodium